Which among the following glucose transporter present in beta cells ?
1. GLUT1
2. GLUT2
3. GLUT3
4. GLUT4

Correct answer: 2. GLUT2

Explanation: GLUT2 is the glucose transporter present in the betacells and liver cells.It has a high Km for glucose.Hence entry of glucose is directly proportional to the glucose level.It is an insul;in independent transport. GLUT3 is present in brain and GLUT4 medites insulin dependent transport of glucose into muscle and adipose tissue. Ref: Murray R.K., Granner D.K. (2011). Chapter 40. Membranes: Structure & Function. In D.A. Bender, K.M. Botham, P.A. Weil, P.J. Kennelly, R.K. Murray, V.W. Rodwell (Eds), Harper's Illustrated Biochemistry, 29e.